Galens anastomosis between SLN and RLN is
1. Pure motor
2. Secretomotor
3. Pure sensory
4. Mixed

Correct answer: 3. Pure sensory

Explanation: Galens anastomosis is purely sensory. Branch of internal branch of superior laryngeal nerve communicating with the recurrent laryngeal nerve in the wall of the laryngopharynx supplying sensory fibers to the latter. Ref:- TB of ENT, Hazarika; pg num:- 623